A 28-year-old man is admitted to the emergency department complaining of pain in the umbilical region that moves to the right iliac fossa. Which is a corroborative sign of acute appendicitis?
1. Referred pain in the right side with pressure on the left (Rovsing) sign
2. Increase of pain with testicular elevation
3. Relief of pain in lower abdomen with extension of thigh
4. Relief of pain in lower abdomen with internal rotation of right thigh

Correct answer: 1. Referred pain in the right side with pressure on the left (Rovsing) sign

Explanation: Rousing's sign is corroborative of acute appendicitis. The other signs are corroborative of appendicitis. Hyperesthesia is a useful sign provided that it is performed objectively. The area of hyperesthesia is a triangular area (base placed upward) in the right lower abdomen.